Highest conduction rate in m/s is observed in:
1. SA node
2. AV node
3. Bundle of His
4. Purkinje system

Correct answer: 4. Purkinje system

Explanation: D i.e. Purkinje system